Which of the following is not attached to ischial tuberosity?
1. Biceps femoris
2. Semitendinosus
3. Quadratusfemoris
4. None of the above

Correct answer: 4. None of the above

Explanation: The ischial tuberosity gives attachment to the posterior femoral muscles. Quadratusfemoris is attached along the upper part of its lateral border. The upper area of the tuberosity is subdivided by an oblique line into a superolateral part for semimembranosus and an inferomedial part for the long head of biceps femoris and semitendinosus. The lower area is subdivided by an irregular vertical ridge into lateral and medial areas. The larger lateral area is for part of adductor magnus.Ref: Gray's anatomy 40th edition, Chapter 111.